Taking into consideration typical usage patterns, the most effective spacing method provided under National Family Planning program is-
1. Cu-T 380 A
2. Mala-N
3. Nirodh
4. Non-Scalpel vasectomy

Correct answer: 1. Cu-T 380 A

Explanation: The most effective spacing method provided under National Family Planning program is CuT 380 A. Cu T 380 A has a failure rate of only 0.6-0.8/HWY, as compared to failure rate of Mala-N of 8/HWY and for condom of 10-14/HWY. NSV is not a spacing method.